All are formal thought disorders except
1. flight of ideas
2. circumstantiality
3. Loosening of association
4. Obsessive compulsive neurosis

Correct answer: 4. Obsessive compulsive neurosis

Explanation: In Schizophrenia, disorders of thought are the most difficult symptoms for many clinicians and students to understand, but they may be the core symptoms of schizophrenia. Disorders of the form of thought are objectively observable in patients' spoken and written language. The disorders of form of thought include looseness of associations, derailment, incoherence, tangentiality, circumstantiality, neologisms, echolalia, verbigeration, word salad, and mutism. flight of ideas is where the patient starts about a topic and then subsequent thoughs will be connected by chance assosiations and the goal is not reached. this is seen in mania. circumstantiality is where the patient starts about a topic and adds irrelevant details before reaching the goal and is seen in organic disorders. loosening of assosiation is a type of formal thought disorder where the patient's thoughts are not connected and there are no meaningful connections. this is a charecterstic feuture of schizophrenia. this is one of the 4A's of schizophrenia that was given by Eugene Bleuler. 4A's that is given by schizophrenia is the most repeated question they are autism ambivalance apathy assosiation loss or loosening of assosiation Reference: Kaplan & Sadock's synopsis of psychiatry 11th edition, page 313,300